If the annual growth rate of population is 1.5-2% then growth of population is rated as :-
1. Moderate growth
2. Rapid growth
3. Very rapid growth
4. Explosive growth

Correct answer: 3. Very rapid growth

Explanation: Relation between growth rate and population Rating Annual Rate of Growth % Number of years required for population to double in size Stationarypopulation Slow growth Moderate growth Rapid growth Very rapid growth "Explosive" growth -------"-------- -------"-------- -------"-------- No growth Less than 0.5 0.5 to 1.0 1.0 to 1.5 1.5 to 2.0 2.0 to 2.5 2.5 to 3.0 3.0 to 3.5 3.5 to 4.0 Nil More than 139 139-70 70-47 47-35 35-28 28-23 23-20 20-18